Most effective treatment of gas gangrene is-
1. Hyperbaric oxygen
2. Polyvalent gas gangrene antitoxin
3. Amputation of the involved limb
4. Antibiotics with surgical debridement

Correct answer: 4. Antibiotics with surgical debridement

Explanation: Ans. is 'd' i.e., Antibiotics with surgical debriedment o Gas gangrene is one of the most fulminant gram-positive bacterial infections of humans. Even with appropriate antibiotic therapy and management in an intensive care unit, tissue destruction can progress rapidly. Gas gangrene is accompanied by bacteremia, hypotension, and multiorgan failure and is invariably fatal if untreated. Gas gangrene is a true emergency and requires immediate surgical debridement.o The development of gas gangrene requires an anaerobic environment.Features of gas yarn'retie (clostridial myonecrosis)o Causative agentsClostridium perfringens Clostridium novyiClostridium septicumClostridium histolyticumo Signs and symptomsGas gangrene begins with the sudden onset of pain (feature differentiating if from cellulitis)Tachycardia but no elevation in temperatureGas is not seen in early stageSkin is tense, white often marbled with blue. It is cooler than normal.The symptoms progress rapidly; swelling edema, and toxemia increase, and a profuse serous discharge, which may have a peculiar sweetish smell, appears.Appearance of gas produces body crepitationso Management: -Surgical debridement (fasciotomy is done immediately)Antibiotics: penicillin + clindamycinPolyvalent gas gangrene antitoxin (controversial)Hyperbaric oxygen therapy (controversial)